Which of the following  CNS tumor can spread through CSF?
1. Ependymoma
2. CNS lymphoma
3. Medulloblastoma
4. All of the above

Correct answer: 4. All of the above

Explanation: Tumors that spread through CSF:

Pinealoblastoma
Germ cell tumors
Medulloblastoma
CNS lymphoma
Some anaplastic ependymoma